Rhinitis medicamentosa is caused by-
1. Nasal decongestants
2. Antihistaminic drugs
3. Steroids
4. Salbutamol

Correct answer: 1. Nasal decongestants

Explanation: Ans. is 'a' i.e., Nasal decongestantsRhinitis medicamentosao Caused by excessive use of topical decongestant nasal drops.o It is treated by withdrawal of nasal drops, short course of systemic steroid therapy and in some cases surgical reduction of turbinates, if they have become hypertrophied